True about Posttraumatic fat embolism syndrome -a) Fracture mobility is a risk factor b) Associated diabetes pose a riskc) Bradycardia occursd) Thrombocytopeniae) On ABG PaO2 < 60 mm Hg on FIO2 < 0.4
1. abcd
2. bcde
3. abde
4. ade

Correct answer: 3. abde

Explanation: Mobility at fracture site and associated DM increase the risk of development of fat embolism syndrome.